Total score in Glasgow Coma Scale of a conscious person is:
1. 8
2. 3
3. 15
4. 10

Correct answer: 3. 15

Explanation: Answer is C (15): Aconscious person has spontaneous eye opening (3), is oriented and converses (5) and obeys commands (6). The total GCS score for a conscious person therefore is 15.